The cause of systemic secondary insult to injured brain include all of the following except :
1. Hypercapnia
2. Hypoxaemia
3. Hypotension
4. Hypothermia

Correct answer: 4. Hypothermia

Explanation: Answer is D (Hypothermia): Hypothermia is known to have neuro protective effects and may even he used as a modality of management of refractory elevated intracranial pressure. Secondary Inside to Injured Brain : Secondary lschaemia HypotensionQ Hypox lacQ Hyperthermia (Fever)Q HyperglycemiaQ HypercapniaQ